A patient who met with a A presented to emergency, he lost 30% of his total blood volume approximately,blood pressure is normal. He/she will be classified under which class of hypovolemic shock?
1. Class I
2. Class II
3. Class III
4. Class IV

Correct answer: 2. Class II

Explanation: Four classes of Haemorrhagic Shock (According to the ATLS course) Class Parameter I II III IV Blood loss (%) 0-15 15-30 30-40 >40 CNS Slightly anxious Mildly anxious Anxious or confused Confused or lethargic Pulse (Beats/min) < 100 >100 >120 >140 Blood pressure Normal Normal Decreased Decreased Pulse pressure Normal Decreased Decreased Decreased Respiratory rate 14-20/min 20-30 / min 30-40/min > 35/ min Urine (mL/hr) >30 20-30 5-15 Negligible Fluid Crystalloid Crystalloid Crystalloid + Blood Crystalloid + blood Base deficit 0 to -2 mEq/L -2 to -6 mEq/L -6 to -10mEq/L -10mEq/L or less